All the findings in wolf Parkinson white syndrome except
1. Narrow QRS complexes
2. Normal QT interval
3. Slurred and tall QRS
4. Short PR interval

Correct answer: 1. Narrow QRS complexes

Explanation: ECG shows a short P-R interval (<0.12 s), slurred initial portion of the QRS (delta wave), and prolonged QRS duration produced by slow conduction through direct activation of ventricular myocardium over the APRT Ref Harrison 20th edition pg 1435